Hyperacute graft rejection is caused by ?
1. Preformed antibodies
2. T- lymphocytes
3. Macrophages
4. B - lymphocytes

Correct answer: 1. Preformed antibodies

Explanation: Ans. is 'a' i.e., Preformed antibodies